Cogan Syndrome is associated with all Except
1. Splenomegaly
2. Interstitial keratitis
3. Vestibuloauditory symptoms
4. Aortic valvular insufficiency

Correct answer: 1. Splenomegaly

Explanation: Cogan's syndrome is characterized by interstitial keratitis together with vestibulo-auditory symptoms. It may be associated with a systemic vasculitis, particularly aortitis with the involvement of the aortic valve. Glucocorticoids are the mainstay of treatment. Initiation of treatment as early as possible after the onset of hearing loss improves the likelihood of a favorable outcome.Ref: Harrison's Principles of Internal Medicine; 19th edition; Chapter 385 The Vasculitis Syndromes; Page no: 2193